All of the following are contents of sub-occipital triangle, except
1. Vertebral artery
2. Dorsal ramus of C1 nerve
3. Suboccipital plexus of vein
4. Occipital artery

Correct answer: 4. Occipital artery

Explanation: CONTENTS OF SUBOCCIPITAL TRIANGLE: Third part of vertebral artery Dorsal ramus of nerve C1-suboccipital nerve Suboccipital plexus of veins NOTES: SUBOCCIPITAL MUSCLES- Rectus capitis posterior major Rectus capitis posterior minor Obliquus capitis superior Obliquus capitis inferior Ref BDC volume 3,sixth edition pg 179